A patient presents with malignant hyperthermia and metabolic acidosis. Immediate treatment should be started with:
1. Intravenous Dantrolene
2. Sodium bicarbonate
3. Intravenous fluids
4. Paracetamol

Correct answer: 1. Intravenous Dantrolene

Explanation: Ref: Harrison 18th/147 The current treatment of choice for malignant hyperthermia is the intravenous administration of dantrolene other important measures are: *Discontinuation of triggering agents *Suppeive therapy directed at correcting hyperthermia, acidosis, and organ dysfunction.